Which of the following is the characteristic of a highly ionized drug?
1. High protein binding
2. Can cross placental barrier easily
3. Rapidly absorbed from stomach
4. Excreted mostly by the kidneys

Correct answer: 4. Excreted mostly by the kidneys

Explanation: A highly ionized drug is not reabsorbed by the tubules and is easily excreted by the kidneys because it is lipid insoluble. Ref: Dr J G Buch, (2010) Chapter 3, "Pharmacokinetics", "Clinically oriented pharmacology", Newdelhi, Page 13